Ectopia lentis is seen in all except ?
1. Marfan syndrome
2. EDS
3. Trauma
4. Osteogenesis imperfecta

Correct answer: 4. Osteogenesis imperfecta

Explanation: Ans. is 'd' i.e., Osteogenesis imperfecta